Which of the following is not a characteristic of Tumor Lysis syndrome
1. Hyperkalemia
2. Hyperuricemia
3. Hyperphosphatemia
4. Hypercalcemia

Correct answer: 4. Hypercalcemia

Explanation: Hypocalcemia is a feature of Tumor Lysis Syndrome.